In chronic Hepatitis B infection, which one of the following markers is indicative of active viral replication and the corresponding risk of disease transmission ?
1. HBe antigen
2. HBs antigen
3. Anti - HBe
4. Anti - HBs

Correct answer: 1. HBe antigen

Explanation: Ans. is 'a' i.e., HBe antigen